Non essential amino acids
1. Are not components of tissue proteins
2. May be synthesized in the body from essential amino acids
3. Have no role in the metabolism
4. May be synthesized in the body in diseased states .

Correct answer: 2. May be synthesized in the body from essential amino acids

Explanation: The remaining 10 amino acids are non-essential, because their carbon skeleton can be synthesized by the body.
Reference: Vasudevan 7th  ed, pg 27